A 43-year-old house painter fell from a ladder and fractured his left third rib and structures with which it articulated. Which of the following structures would most likely be damaged?
1. Manubrium of the sternum
2. Body of the second thoracic vertebra
3. Body of the fourth thoracic vertebra
4. Spinous process of the third thoracic vertebra

Correct answer: 2. Body of the second thoracic vertebra

Explanation: The third rib articulates with the body of the sternum, bodies of the second and third thoracic vertebrae, and transverse process of the third thoracic vertebra.